Peliosis hepatis is caused by all except -
1. Analgesics
2. Anabolic steroids
3. OC pills
4. Danazol

Correct answer: 1. Analgesics

Explanation: Peliosis hepatitis

Peliosis hepatitis is a rare condition in which there is primarily sinusoidal dilatation.
The liver contains blood-filled cystic spaces, either unlined or lined with sinusoidal endothelial cells.
Peliosis hepatitis is associated with many diseases including cancer, TB, AIDS or post-transplantation immunodeficiency. It is also associated with exposure to anabolic steroids and rarely, oral contraceptives and danazol.